Amyotrophic lateral sclerosis involves:
1. Upper motor neuron and lower motor neuron both
2. Posterior column only
3. Lower motor neuron only
4. Raphae nucleus

Correct answer: 1. Upper motor neuron and lower motor neuron both

Explanation: A i.e. Upper motor neuron and lower motor neuron both.Amyotrophic lateral sclerosis is the most common form of progeressive motor neuron disease. It involves both upper motor neuron (UMN) & lower motor neuron (LMN)Q.Motor neuron disease Is characterized by degeneration of motor neurons, either upper motor neuron or lower motor neuron or both.